Crohn's disease is associated with polymorphisms in
1. NOD2/CARD 15 gene
2. P53 gene
3. Philadelphia chromosome
4. APC/Beta catenin

Correct answer: 1. NOD2/CARD 15 gene

Explanation: Individuals with allelic variants of CARD15/NOD2 have a 40 fold relative risk for Crohn's disease compared with general population. Reference : Sabiston Textbook of Surgery, 19th Edition, page no = 1245.